Which of the following nerve does not carry parasympathetic fibres:
1. Facial
2. Trochlear
3. Occulomotor
4. Glossopharyngeal

Correct answer: 2. Trochlear

Explanation: The cranial nerves which are a part of parasympathetic system - 3,7,9,10.